Adreneric b receptors having lipolysis property in fat cells is?
1. Alpha 1
2. Alpha 2
3. Beta 1
4. Beta 3

Correct answer: 4. Beta 3

Explanation: Beta -3. Beta 3 receptors are present on adipose tissue. Hence, cause lipolysis. Also present in, Coronary arteries - Causing vasodilation Urinary bladder - Causing relaxation.